Cross examination of the prosecution witness is done by :
1. Public prosecutor
2. Defence counsel
3. Judge
4. None

Correct answer: 2. Defence counsel

Explanation: B i.e. Defence counsel